A 12-year-old child presents with fever and cervical lymphadenopathy. Oral examination shows a grey membrane on the
right tonsil extending to the anterior pillar. Which of the following medium will be ideal for the culture of the throat swab for rapid identification of the pathogen :
1. Loeffler’s serum slope
2. Nutrient agar
3. Blood agar.
4. Lowenstein Jensen medium.

Correct answer: 1. Loeffler’s serum slope

Explanation: Ans. is ‘a’ Loeffler’s Serum slope 
Fever, cervical lymphadenopathy and grey membrane on the tonsil extending to the anterior pillar